Implantation bleeding is called :
1. Hartman's sign
2. Arias stella's sign
3. Hoffman's sign
4. Reinz's sign

Correct answer: 1. Hartman's sign

Explanation: Hartman's sign